A 7-year-old boy, Manoj underwent successful chemotherapy and cranial radiation for the treatment of acute lymphocytic leukemia. One month after the completion of therapy, the patient presented with excessive thirst and urination plus hypernatremia. Laboratory testing revealed pituitary diabetes insipidus. To corect these problems, this patient is likely to be treated with:
1. Corticotropin
2. Desmopressin
3. hCG
4. Menotropins

Correct answer: 2. Desmopressin

Explanation: (Ref: KDT 6/e p57) Drugs used for the treatment of central (pituitary) diabetes insipidus are: - Desmopressin (selective V2 agonist) - Thiazides - Chlorpropamide - Carbamazepine Drugs used for the treatment of nephrogenic (renal) diabetes insipidus are: - Thiazides - Amiloride (for lithium induced) Thiazides are useful for the treatment of both central as well as nephrogenic diabetes insipidus. Desmopressin is not effective in nephrogenic diabetes insipidus.